Port wine color urine is usually seen in:
1. Chemical burns.
2. Electric burns
3. Both.
4. None.

Correct answer: 2. Electric burns

Explanation: 'Port wine' coloured urine is not unusual following major electrical burns due to release of haemochromogens in to the blood stream from injured musculature.